Fibroids in pregnancy should be removed :
1. In pregnancy
2. During cesarean section
3. In the early puerperium
4. Should not be removed

Correct answer: 4. Should not be removed

Explanation: Should not be removed